Dacron vascular, graft is
1. Nontextile synthetic
2. Textile synthetic
3. Nontextile biologic
4. Textile biologic

Correct answer: 2. Textile synthetic

Explanation: Textile synthetic graft → Dacron
Nontextile synthetic graft → PTFE (polytetra fluoro ethylene)